Which substance, if used for a long time is associated with memory loss?
1. Marijuana
2. Alcohol
3. Cocaine
4. LSD

Correct answer: 2. Alcohol

Explanation: Alcohol amnestic disorder (Korsakoff syndrome) is the result of long-term alcohol abuse.